Denominator of maternal mortality rate is -
1. 1000 total births
2. Mid year population
3. 1000 live births
4. None

Correct answer: 4. None

Explanation: Ans. is 'None' Following very important facts have been changed in 21nd/e of Park Maternal mortality ratio o Maternal mortality ratio is defined as total number of maternal deaths i.e. deaths due to complications of child birth, pregnancy or within 42 days of delivery from 'puerperal causes' in the area during a given year Per 1000 or (100,000) live births in the same area during the same year. o It is called late maternal death ---> Death of women from direct or indirect obstetric causes more than 42 days but less than 1 year after termination of pregnancy. Maternal mortality rate o It is the number of maternal death in a given period per 1000 (or 100,000) women of reproductive age during same period. Total no. of female death due to complication of pregnancy, childbirth or within 42 days of delivery Maternal mortality rate - x 1000 (or 100, 000) Total no. of women of reproductive age Therefore o Denominator in maternal mortality ratio 1000 live birth (or 100,000 live birth) o Denominator in maternal mortality rate 1000 (or 100,000) women of reproductive age. Note : o According to previous editions of park, the answer of this question was 1000 live birth as in previous editions (upto 20th/e) maternal mortality was described as maternal death per 1000 (or 100,000) live birth (which is now described as maternal mortality ratio). Maternal mortality ratio was not given in previous editions of Park; it was described as maternal mortality rate. o So, according to previous editions of Park, maternal mortality rate was a ratio (not a rate) as numerator (maternal deaths) is not a part of denominator (live births). o However, according to recent definition (21 st/e Park) maternal mortality rate is rate as numerator (maternal death) is a part of denominator (women of reproductive age group). Thus, as the name suggests : - o Maternal mortality ratio (MMR) is a ratio (numerator is not a part of denominator). o Maternal mortality rate is a rate (numerator is a part of denominator).